Vertical banding gastroplasty, also known as stomach stapling is done for?
1. Gastric carcinoma
2. Achalsia cardia
3. Perforated gastric ulcer
4. Morbid obesity

Correct answer: 4. Morbid obesity

Explanation: Morbid obesity REF: Sabiston Textbook of Surgery, 18th ed. Chapter 17 Bariatric operations produce weight loss as a result of two factors. One is restriction of oral intake. The other is malabsorption of ingested food. Bariatric Operations: Mechanism of Action: Restrictive Vertical banded gastroplasty (VBG) (historic purposes only) Laparoscopic adjustable gastric banding (LAGB) Largely Restrictive/Mildly Malabsorptive Roux-en-Y gastric bypass (RYGB) Largely Malabsorptive/Mildly Restrictive Biliopancreatic diversion (BPD) Duodenal switch (DS)